Which of the following statements best describes the colon?
1. The majority is derived from the primitive hindgut.
2. It is usually invested with peritoneum on all sides.
3. The hepatic flexure is related directly to the liver and right kidney.
4. The ascending and descending colon are always retroperitoneal.

Correct answer: 3. The hepatic flexure is related directly to the liver and right kidney.

Explanation: The hepatic flexure is directly in contact with the liver and the right kidney; it is therefore at risk in a right nephrectomy. The majority of the colon is derived from the midgut, which extends to a point just proximal to the splenic flexure. The descending colon and sigmoid are derived from the hindgut. The ascending and descending colon are usually in contact with the abdominal wall posteriorly and with peritoneum on the rest of the surface. The posterior part is therefore free from peritoneum.